The pregnant female dies while doing illegal abortion. The doctor can be punished under
1. 303 IPC
2. 316 IPC
3. 314 IPC
4. 315 IPC

Correct answer: 3. 314 IPC

Explanation: Refer the byte "Legal sections".